Best for prevention of risk factor:
1. Primordial prevention
2. Primary prevention
3. Secondary prevention
4. Tertiary prevention

Correct answer: 1. Primordial prevention

Explanation: Ans. (a) Primordial preventionRef : K. Park 23rd ed. / 41, 21sted. 139-40* Primordial level of prevention is defined as prevention of emergence or development of risk factors in countries or population groups in which disease entity is not yet appeared, or population group which are not yet exposed.* Modes of intervention:# Individual education# Mass education* Primordial level is considered as best level of prevention for non-communicable diseases